Ganglion associated with accommodation of eye for near vision is ?
1. Geniculate
2. Ciliary
3. Otic
4. Sphenopalatine

Correct answer: 2. Ciliary